Which of the following is the preferred marker for detecting acute STEMI in athletes
1. CK-MB
2. Troponin 1
3. C reactive protein
4. LDH

Correct answer: 2. Troponin 1

Explanation: Ref Harrison 19 th ed pg 1594 Patients with NSTEMI have elevated biomarkers of necrosis, such as cardiac troponin I or T, which are specific, sensitive, and the preferred markers of myocardial necrosis. The MB isoform of creatine kinase (CK-MB) is a less sensitive alternative. Elevated levels of these markers distinguish patients with NSTEMI from those with UA.